Which of the following statement is true about ESI acl?
1. Funeral benefit is up to 50, 000
2. The state government share of expenditure on medical care is 1/8; the ESI corporation's share of expenditure on medical care is 7/8 of total cost
3. Person with daily wages of 70 has to contribute 300 towards ESI
4. Employee has to contribute 4.75% and employer contributes 8.75%

Correct answer: 2. The state government share of expenditure on medical care is 1/8; the ESI corporation's share of expenditure on medical care is 7/8 of total cost

Explanation: Ans. b. The state government share of expenditure on medical care is 1/8; the ESI corporation's share of expenditure on medical care is 7/8 of total cost ESI Act: The State Government's share of expenditure on medical care is 1/8; the ESI Corporation's share of expenditure on medical care is 7/8 of total cost' Employees State Insurance Act (1948): Funeral benefit is up to 5000 The State Government's share of expenditure on medical care is 1/8 of total cost of medical care; the ESI Corporation's share of expenditure on medical care is 7/8 of total cost of medical care. Person with daily wages of less 70 per day are exempted from making any payments The employer contributes 4.75 % of total wage bill; the employee contributes 1.75 % of wages. Employees State Insurance Act (1948) Scope of ESI Act: The act covers all the factories in India excluding mines, defense, railways, educational institutions0 Act in the first instance applies to: All non-seasonal factories, employing 10 or more persons, for wages on any day in implemented areas. It also covers shops, hotels and restaurants, cinemas and theatres, road- motor transport establishments and newspaper establishments It covers all states except Nagaland, Manipur, Tripura, Sikkim, Arunachal Pradesh and Mizoram and UTs of Delhi, Pondicherry and Chandigarh(' It covers all employees getting income up to 15,000/ per month Administration: The Union Minister of Labour is the Chairman of ESI Corporation Finance: The scheme is run by contributions by employees and employers and grants from Central and State Governments. The employer contributes 4.75% of total wage bill; the employee contributes 1.75 % of wages The State Government's share of expenditure on medical care is 1/8 of total cost of medical care; the ESI Corporation's share of expenditure on medical care is 7/8 of total cost of medical care Benefits to employees under ESI Act Medical benefit Full medical careQ Sickness benefit 50% of the average daily wages and is payable for 91 days(' (in any continuous period of 365 days) Extended sickness benefit Payable for 2 years for aset of 34 diseasesQ Enhanced sickness benefit Full average daily wage for duration up to 7 days in the case of Vasectomy and up to 14 days in the case of the TubectomyP Maternity benefit Full average daily wage for duration up to 12 weeks (confinement)or 6 weeks (miscarriage or MTP) or 4 weeks (sickness arising out of pregnancy, confinement, premature birth), as the case may be Temporary disablement benefit 70% of the average daily wages till recovery Permanent disablement benefit Pension (full/partial) as worked out by a medical board Dependent's benefit Pension at rate of 70% of wages Funeral expenses Cash not exceeding Z 50000 Rehabilitation benefit